Extrapyramidal side effects of antipsychotics -a) Dystoniab) Akathisiac) Seizuresd) Diarrheae) Parkinsonism
1. abc
2. bcd
3. abe
4. acd

Correct answer: 3. abe

Explanation: Extrapyramidal side effects of antipsychotics 

Extrapyramidal side effects are the major dose limiting side effects of antipsychotics.
Maximum extrapyramidal side effects are seen with haloperidol.
Least extrapyramidal side effects are seen with clozapine (amongst all antipsychotics).
Among typical antipsychotics, thioridazine has least extrapyromidal side effects (EPS).
Amongst atypical antipsychotics, resperidone has maximum tendency to cause EPS.
Different syndromes are : Parkinsonism, acute muscular dystonia, akathisia, malignant neuroleptic syndrome, tardive dyskinesia, rabbit syndrome.